Which of the follow ing lesion is characteristic of diabetic nephropathy?
1. Hyaline arteriosclerosis
2. Nodular glomerulosclerosis
3. Renal Amyloid deposits
4. Fibrinoid necrosis

Correct answer: 2. Nodular glomerulosclerosis

Explanation: Ans: B (Nodular glomerulosclerosis) Ref: Robbins Pathologic Basis of Disease, 8th editionExplanation:Diabetic NephropathyThe term diabetic nephropathy is applied to the conglomerate of lesions that occur in the diabetic kidney.Most common lesions involve the glomeruli and are associated clinically with three glomerular syndromes;Non-nephrotic proteinuriaNephrotic syndromeChronic renal failureDiabetes also affects the arterioles (causing hyalinizing arteriolar sclerosis), increases susceptibility to the development of pyelonephritis and particularly papillary necrosis, and causes a variety of tubular lesions.The morphologic changes in the glomeruli includeCapillary basement membrane thickeningDiffuse mesangial sclerosisNodular glomerulosclerosis (Kimme- Istiel-Wilson lesions). Expansions non-coding regionsDiseaseProteinRepeatingSequenceSpinobulbar muscular atrophy (Kennedy Disease)Androgen ReceptorCAGHuntington DiseaseHuntingtonCAGDentatorubral-palidoluysian atrophy (Haw River Syndrome)Atrophin - 1CAGSpinocerebellar ataxia type 1Ataxin 1CAGSpinocerebellar ataxia type 2Ataxin-2CAGSpinocerebellar ataxia type 3 (Machado Joseph Disease)Ataxin 3CAGSpinocerebellar a taxia type 6Alpha 1a-Voltage-dependant calcium channel subunitCAGSpinocerebellar ataxia type 7Ataxin-7CAGThe morphology is identical in type 1 and type 2 diabetesThe Armanni-Ebstein change tor Armanni- Ebstein cells) consists of deposits of glycogen in the tubular epithelial cells (pars straight of proximal convoluted tubule and loop of Henle).